To say twin discordance the difference in the two twin's weight should be:
1. 15% with the larger twin as index
2. 15% with the smaller twin as index
3. 20% with the larger twin as index
4. 25% with the smaller twin as index

Correct answer: 3. 20% with the larger twin as index

Explanation: Discordant twins: The donor twin should be > 20% smaller in weight than the recipient twin Abdominal circumference difference of >15%